A dead body is having cadaveric lividity of bluish green colour. The most likely cause of death is by poisoning due to -
1. Hydrocyanic acid
2. Hydrogen sulphide
3. Ocleander
4. Sodium nitrite

Correct answer: 2. Hydrogen sulphide

Explanation: Poison Color Nitrites Reddish brown Potassium chlorate Chocolate brown Phosphorus Dark brown Hydrogen sulphide Bluish green Cyanide Cherry red Carbon monoxide Pink Opium Blackish Ref: K.S.Narayan Reddy's Synopsis of Forensic Medicine and Toxicology, 29th edition, Chapter 35.